Hybrid muscles
1. These are the muscles having different set of fibers performing the same function
2. E.g. Pectineus & Biceps Femoris
3. Receive nerve supply by different nerves
4. All are true

Correct answer: 4. All are true

Explanation: Hybrid muscles also called as COMPOSITE MUSCLES are those muscles which have more than one set of fibers but perform the same function and are usually supplied by different nerves for different set of fibers.